Acute osteomyelitis of long bones commonly affects the
1. Epiphysis
2. Diaphysis
3. Metaphysis
4. Articular surfaces

Correct answer: 3. Metaphysis

Explanation: Metaphysis of long bones is the earliest and most common site involved in osteomyelitis. x ray showing acute osteomyliyis of long bones ref : maheswari 9th ed